Four numbered instrument formula other than G.M.T. is:
1. Chistle
2. Hoe
3. Angle former
4. Hatchet

Correct answer: 3. Angle former